A year 6 old child with IQ of 50. Which of the following can the child do.
1. Identify colors
2. Read a sentence
3. Ride a bicycle
4. Copy a triangle

Correct answer: 1. Identify colors

Explanation: Ans. is 'a' i.e. Identify colours * IQ is defined by as the mental age divided by the chronological age multiplied by 100. So a child 6 years of age with an IQ of 50%, means that his mental age is that of a 3 year old child. Thus we have to look for the developmental milestones of a 3 year old child. Developmental milestones at 36 months Motor - Rides a tricycle: stands momentarily on one foot Adaptive - Tower of 10 cubes, imitates construction of bridge of a 3 cubes, copies a circle, imitates a cross Language - Knows age and sex, counts 3 objects correctly, and repeats 3 numbers or a sentence of 6 syllables. Social - Plays simple game (in parallel with children) helps in dressing (unbuttons clothing and puts on shoes) washes hands. Also know A child copies a triangle at 5 years of age. At 3 years of age9 a child can identify two colours. A 3 year old child can speak a small sentence but he cannot read a sentence.